Human breast milk has more of
1. Lipids
2. Carbohydrates
3. Proteins
4. Calcium

Correct answer: 2. Carbohydrates

Explanation: Human milk is richer in Carbohydrates (lactose), Iron and water content While cow's milk is richer in fat, protein, calcium and energy content Human milk proteins: More cysteine and taurine; Less methionine; better digested than cow's milk proteins. Human milk fats: Higher levels of PUFAs esp., linoleic acid and a-linoleic acid, better digested and absorbed ; low calcium content but better absorbed than cow's milk Human milk vitamins and minerals : Human milk is richer in Vitamin A, C; richer in copper, cobalt and selenium ; richer in iron and higher bioavailability ; high calcium/phosphorous ratio. Human milk has lesser sodium Ref: Park 25th edition Pgno: 668